When patient is asked to look down, his upper eyelid fails to follow the rotation of the eyeball and thus lags behind, this eye sign is known as:
1. Von Graffe's sign.
2. Joffroy's sign.
3. Moebius sign.
4. Stellwag'sign.

Correct answer: 1. Von Graffe's sign.